The following are characteristic of autism, EXCEPT:
1. Onset after 6 years of age
2. Repetitive behavior
3. Delayed language development
4. Severe deficit in social interaction

Correct answer: 1. Onset after 6 years of age

Explanation: The onset of autistic disorder always occurs before age 3, at two peak periods. Autistic disorders are characterized by the triad of impaired social interaction, communication and imagination. These are associated with rigid repetitive pattern of behaviour. Ref: Essential Pediatrics By O P Ghai, 6th Edition, Page 65; Autism: A Very Short Introduction By Uta Frith, 2008, Preview.